A child scratches his hand with a pen. A red wheel appears which persists for 30 minutes. What would be the diagnosis?
1. Contact urticaria
2. Dermographism
3. Pressure urticaria
4. Atopy

Correct answer: 2. Dermographism

Explanation: Ans. b. DermographismWhite dermographism is seen in atopic dermatitisDermographism is seen in urticaria